Which of the following condition is associated with increase in 5'-Nucleotidase activity?
1. Bone diseases
2. Prostate cancer
3. Chronic renal failure
4. Cholestatic disorders

Correct answer: 4. Cholestatic disorders

Explanation: 5' nucleotidase level is elevated in obstructive or cholestatic liver disease, liver metastasis and biliary cirrhosis. 5' nucleotidase is found in or near the bile canalicular membrane of hepatocytes. Alkaline phosphatase, 5'-nucleotidase, and gamma-glutamyl transpeptidase (GGT) are the liver enzymes which are usually elevated in cholestasis. Alkaline phosphatase and 5'-nucleotidase are found in or near the bile canalicular membrane of hepatocytes, while GGT is located in the endoplasmic reticulum and in bile duct epithelial cells. Note: ALP will be elevated in bone diseases, pregnancy and cholestatic liver diseases. To confim the elevation is due to liver disease, do GGT and if both are elevated it is clear that elevation is due to cholestasis. Ref: Clinician's Pocket Reference By Leonard G. Gomella, Steven A. Haist, 11th Edition, Chapter 4; Textbook of Biochemistry for Dental Students By Vasudevan, 2nd Edition, Page 29; Harrison's Internal Medicine, 18th Edition, Chapter 302